Which of the following cutaneous malignancies do not metastasize through the lymphatics -
1. Squamous cell carcinoma
2. Basal cell carcinoma
3. Melanoma
4. Kaposi's sarcoma

Correct answer: 2. Basal cell carcinoma

Explanation: Basal cell carcinoma spreads by local invasion. Lymphatic spread is not seen, and regional lymph nodes are not enlarged.